Mallet finger is due to -
1. Avulsion of extensor tendon from base of distal phalynx
2. Avulsion of flexor tendon from base of distal phalynx
3. Avulsion of extensor tendon from base of proximal phalynx
4. Avulsion of flexor tendon from base of proximal phalynx

Correct answer: 1. Avulsion of extensor tendon from base of distal phalynx

Explanation: Ans. is 'a' i.e., Avulsion of extensor tendon from base of distal phalynx Mallet finger (Base ball finger)* Sudden passive flexion of the distal interphalangeal joint (as by a ball striking the tip of the finger) may rupture the extensor tendon at the point of its insertion into the base of distal phalanx.* Sometimes, a fragment of bone is avulsed from the phalanx.* Clinically, distal phalanx is in slight flexion and patient is unable to extend DIP joint fully.* Treatment is by immobilizing the DIP joint in hyperextension with the help of an aluminium splint (finger extension splint) or plaster cast.